A non-vital asymptomatic tooth with a deep carious lesion shows radio-opacity at the apex is possibly:
1. Cementoma
2. Condensing osteitis
3. Periapical cyst
4. Periodontitis

Correct answer: 2. Condensing osteitis